Galen's anastomosis is between ?
1. Recurrent laryngeal nerve and external laryngeal nerve
2. Recurrent laryngeal nerve and internal laryngeal nerve
3. Internal laryngeal nerve and external laryngeal nerve
4. None of the above

Correct answer: 2. Recurrent laryngeal nerve and internal laryngeal nerve

Explanation: There are two types of important anastmosis between laryngeal branches of vagus :? 1) Galen anastomosis (Ramus anastomoticus or Ansa of Galen) This is an anastomosis between the recurrent laryngeal nerve and internal laryngeal nerve (internal branch of superior laryngeal nerve). Generally, posterior branch of recurrent laryngeal nerve contributes to the anastomosis; however, anterior branch can also contribute. 2) Human communicating nerve It is an anastomosis between recurrent laryngeal nerve (distal part) and external laryngeal nerve (external branch of superior laryngeal nerve).